Cobalt forms a component of which vitamin
1. Biotin
2. Vitamin B12
3. Vitamin A
4. Tocopherol

Correct answer: 2. Vitamin B12

Explanation: Vitamin B12 is a corrinoid, i.e. cobalt-containing compound possessing the corrin ring.